Articulated diagnostic casts help in the following, except
1. Diagnostic wax up to evaluate outcome
2. Detailed analysis of occlusal plane and occlusion
3. Fabrication of wax patterns for casting
4. Performing mock tooth preparation

Correct answer: 3. Fabrication of wax patterns for casting